"Multibacillary" is a spectrum of disease, seen in-
1. Leprosy
2. TB
3. Tetanus
4. Trachoma

Correct answer: 1. Leprosy

Explanation: Ans. is 'a' i.e., Leprosy